Recurrent laryngeal nerve supplies all EXCEPT:
1. Cricothyroid
2. Thyroaretenoid
3. Lateral cricoaretenoid
4. Posterior cricoaretenoid

Correct answer: 1. Cricothyroid

Explanation: Ans. (a) CricothyroidRef: P.L. Dhingra 5th ed. / 317* All intrinsic muscles of the larynx are supplied by the recurrent laryngeal nerve except cricothyroid which is supplied by external branch of superior laryngeal nerve.* Recurrent laryngeal nerve supplies posterior cricoarytenoid, lateral cricoarytenoid, transverse and oblique arytenoids, aryepiglotticus, thyroarytenoid, thyroepiglotticus muscle.Also Know About laryngeal muscles movementsMovementMusclesNerve supply* Abduction of vocal cordsPosterior cricoarytenoids onlyRecurrent laryngeal nerve* Adduction of the vocal cordsLateral cricoarytenoidsInterarytenoidsThyroarytenoidsRecurrent laryngeal nerve* Tensor of vocal cordsCricothyroidSuperior laryngeal nerve* Relaxor of vocal cordThyroarytenoidRecurrent laryngealnerve* Elevation of larynxThyrohyoid, mylohyoid* Depression of larynxSternothyroid, sternohyoid